Weakest portion of shoulder joint capsule is:
1. Anterior
2. Posterior
3. Inferior
4. Superior

Correct answer: 3. Inferior

Explanation: C i.e. Inferior * The inferior part of shoulder joint capsule is the weakest areaQ ** When the shoulder joint is abducted, the lower surface of humerus head is supported by long head of triceps, which bows down- wards because of its length and gives little actual support to the humerus.